Young's operation done in:
1. Rhinophyma
2. Atrophic rhinitis
3. Rhinitis sicca
4. Hypertrophic rhinitis

Correct answer: 2. Atrophic rhinitis

Explanation: Young's operation done in Atrophic rhinitis Atrophic rhinitis (OZAENA) -. Rx: Alkaline nasal douching (Sodium chloride, Sodium bicarbonate & Sodium biborate) 25% glucose in glycerine Fe and vitamin D Antibiotics Estrogen spray Kimecetine nasal soln Chloramphenicol, Vitamin D2, Oestradiol Sx : Young's operation - alternative closure of each nasal cavity for 6 months Modified young's operation- to avoid the discomfort of bilateral nasal obstruction partially close the nostrils